Which of the following muscle is involved in movements from sitting to standing position?
1. Gluteus maximus
2. Obturator internus
3. Gluteus medius
4. Gluteus minimus

Correct answer: 1. Gluteus maximus

Explanation: Gluteus maximus extends and laterally rotates the hip.